In a larger bruise, the colour changes begins at:
1. The periphery
2. From the centre
3. There is no rule
4. No colour change

Correct answer: 1. The periphery

Explanation: In a larger bruise, the colour change starts from periphery (healing of contusion) The contusion regains its normal colour in 1-2 weeks.